In which of the following locations there is a collection of pus in quinsy -
1. Peritonsillar space
2. Parapharyngeal space
3. Retropharyngeal space
4. Within the tonsil

Correct answer: 1. Peritonsillar space

Explanation: Quinsy consists of suppuration outside the capsule in the area around the capsule.
There is collection of pus between the capsule of tonsil and the superior constrictor muscle, i.e. in the peritonsillar area.